Absolute lymphocytosis seen in
1. SLE
2. Typhoid
3. IMN
4. Brucellosis

Correct answer: 3. IMN